Which of the following drug promotes the release of endogenous insulin?
1. Acarbose
2. Glipizide
3. Metformin
4. Pioglitazones

Correct answer: 2. Glipizide

Explanation: Ans. B. GlipizideGlipizide is secretagogue (second generation sulfonylureas). By block ATP sensitive potassium channel, they help in release of insulin from the beta cells. Acarbose inhibit the absorption of glucose from intestine. Metformin inhibit hepatic gluconeogenic and pioglitazones stimulate the PPAR gamma receptor and controls lipid and glucose metabolism.